Most common endocrine complication of intracranial radiotherapy is
1. Growth hormone deficiency
2. Cushing's syndrome
3. Addison's disease
4. TSH deficiency

Correct answer: 1. Growth hormone deficiency

Explanation: Growth hormone deficiency is M/c endocrine complication.